Which of the following drugs has been used in the treatment of angina by inhalation and has a very rapid onset and brief duration of action?
1. Amyl nitrite
2. Isosorbide mononitrate
3. Nitroglycerine
4. Propanolol

Correct answer: 1. Amyl nitrite

Explanation: Amyl nitrite is given by inhalational route and used in cyanide poisoning. The inhalation route provides very rapid absorption and, like the sublingual route, avoids the hepatic first-pass effect. Because of its unpleasant odor and extremely short duration of action, amyl nitrite is now obsolete for angina. Amyl nitrite is a highly volatile liquid. It is available in fragile glass ampules packaged in a protective cloth covering.Ampule has to be crushed with fingers, and the vapors have to be inhaled through protective covering. This antidote for cyanide poisoning is Hydroxocobalamin (IV) , a form of vitamin B12, which also has a very high affinity for cyanide and combines with it to generate another form of vitamin B12.